The impression with the least dimensional change upon disinfection is
1. Addition poly silicone
2. Agar-agar
3. Polysulphide
4. Polyether

Correct answer: 1. Addition poly silicone